Kidney biopsy from a child with hemolytic uremic syndrome characteristically most likely presents features of:
1. Thrombotic microangiopathy
2. Proliferative glomerulonephritis
3. Focal segmental glomerulosclerosis
4. Minimal change disease

Correct answer: 1. Thrombotic microangiopathy

Explanation: Thrombotic microangiopathy encompasses a spectrum of clinical syndromes that includes TTP and HUS. Insults that lead to excessive activation of platelets, which deposit as thrombi in small blood vessels.